Tendon used for repair of flexor tendon injury in hand requiring reconstruction from forearm to fingertip is:
1. Palmaris
2. Plantaris
3. Extensor digitorum communis
4. Extensor digiti minimi

Correct answer: 2. Plantaris

Explanation: Tendons used for reconstruction Palmaris longus--Hand to fingertip Plantaris--Forearm to fingertip (plantaris is longest tendon in the body)